Leukocyte alkaline phosphatase is elevated in:
1. Pernicious anemia
2. Sickle cell anemia
3. Polycythemia vera
4. Plummer Vinson syndrome

Correct answer: 3. Polycythemia vera